What is the position of the leg in fracture neck of femur:
1. Internal rotation deformity of less than 45 degree
2. External rotation deformity of less than 45 degree
3. Internal rotation deformity of more than 45 degree
4. External rotation deformity of more than 45 degree

Correct answer: 2. External rotation deformity of less than 45 degree

Explanation: Ans. B: External rotation deformity of less than 45 degree Capsule of the hip joint prevents full external rotation in intra-capsular/ fracture neck of femur. So external rotation will be there but not significant, whereas in case of extra-capsular/inter-trochanteric femoral fractures, leg will be externally rotated to such an extent that lateral surface of foot touches the bed as there is no check by the capsule of hip joint.